Rule of Haase is used to calculate?
1. Age of fetus
2. Length of femur
3. Diameter of skull
4. Percentage of burns

Correct answer: 1. Age of fetus

Explanation: Ans. is 'a' i.e., Age of fetus